Which lower limb artery is difficult to palpate
1. Popliteal artery
2. Anterior tibial artery
3. Posterior tibial artery
4. Dorsalis pedis artery

Correct answer: 1. Popliteal artery

Explanation: POPLITEAL ARTERY :-
Continuation of femoral artery.
Begins at adductor hiatus. Runs downwards and laterally to reach lower border of popliteus.
Terminates by dividing into anterior and posterior tibial arteries.
Relations:-
1. Anteriorly- popliteal surface of femur, back of knee joint, fascia covering popliteus.
2. Posterior - tibial nerve.
3. Lateral- biceps femoris, plantaris, lateral head of gastrocnemius and lateral condyle of femur.
4. Medial-semimembranosus, medial condyle of femur.
Branches:-
1. Muscular- adductor Magnus, hamstrings, gastrocnemius, soleus, plantaris.
2. Cutaneous
3. Genicular- superior, middle and inferior.
  Middle -pierces oblique popliteal ligament. Supplies cruciate ligament and synovial membrane of knee joint.
BP of lower limb measured from popliteal artery.
In coarctation of aorta, popliteal pressure < brachial pressure.
Popliteal artery is fixed to capsule of knee joint by a fibrous band present just above the femoral condyles. This may be a source of continuous traction or stretching in the artery, causing primary thrombosis of artery.
More prone to aneurysm.
Dorsalis pedis- can be easily at proximal end of first intermetatarsal space. i.e .between the tendons of EHL and first tendon of EDL.
Anterior tibial artery- palpable at midway between two malleolus 
Posterior tibial artery- pulsation felt at 2 cm behind and below medial malleolus.